Most common cause of of thyrotoxicosis in childhood ?
1. Toxic nodular
2. Toxic adenoma
3. Graves disease
4. Thryotoxicosis factitia

Correct answer: 3. Graves disease

Explanation: Thyrotoxicosis is relatively uncommon in children.It is most commonly seen in young girls,caused by Grave's disease.The presence of goiter,infiltrative eye signs(lid lag,ophthalmoplegia,absence of wrinkling,chemosis,proptosis) and hyperthyroidism is suggestive of Grave's disease. Graves disease is an autoimmune disease. The immune system normally protects the body from germs with proteins called antibodies. But with an autoimmune disease, the body makes antibodies that attack its own tissues. With Graves disease, antibodies cause the thyroid gland to make too much thyroid hormone. This is known as hyperthyroidism. Excess thyroid hormone in the bloodstream causes the body's metabolism to be too active. This can lead to problems such as weight loss, nervousness, fast heartbeat, tiredness, and other issues. Graves disease is an ongoing (chronic) condition that needs lifelong treatment or watching. Reference:Essential pediatrics-Ghai,8th edition,page no:520